"Autospleenectomy" is a feature seen in:
1. HS
2. Sickle cell anemia
3. G6PD deficiency
4. Thalessmia minor

Correct answer: 2. Sickle cell anemia

Explanation: Sickle cell anemia